Lack of differentiation of cell is known as
1. Anaplasia
2. Hypertrophy
3. Dysplasia
4. Metaplasia

Correct answer: 1. Anaplasia

Explanation: Anaplasia: Lack of differentiation is called anaplasia.